Colostrum has in compared to normal milk
1. Increased proteins
2. Decreased Na+
3. Decreased Vitamin A
4. Increased calories

Correct answer: 1. Increased proteins